Ramesh , 30 yrs old male,diagnosed case of CO poisoning presented with syncope or coma with intermittent convulsions, rapid respirations, tachycardia with a weak pulse and pink or red discolouration of the skin; estimated percentage of COHb : -
1. 30 to 40 %
2. 40 to 50 %
3. 50 to 60 %
4. 60 to 70 %

Correct answer: 3. 50 to 60 %